Heyde's syndrome is
1. Mitral stenosis, arthritis, and biliary cirrhosis
2. Mitral regurgitation, hiatus hernia, and cirrhosis
3. Aortic stenosis, gastrointestinal bleeding and angiodysplasia of colon
4. Pulmonary arterial hypertension, tricuspid regurgitation, and cirrhosis

Correct answer: 3. Aortic stenosis, gastrointestinal bleeding and angiodysplasia of colon

Explanation: Heyde's syndrome: GIT bleeding Angiodysplasia Aortic stenosis Caused by the induction of Von Willebrand disease type IIA (vWD-2A) by depletion of vWF in blood flowing through the narrowed valvular stenosis. ref - pubmed.com